Most common cause of perinatal mortality in Twins:
1. Dystonia
2. Hemorrhage
3. Anemia
4. Prematurity

Correct answer: 4. Prematurity

Explanation: Prematurity